A patient tested positive of MTB on sputum CBNAAT. He did not come again to PHC in spite of multiple reminders. He now presents with non-massive hemoptysis and is alarmed. What is the next best step for this patient?
1. Urgent coagulation studies
2. Perform CT scan chest
3. Schedule a flexible fibreoptic biopsy
4. Urgent rigid bronchoscopy and prophylactic balloon tamponade

Correct answer: 2. Perform CT scan chest

Explanation: Massive Hemoptysis - urgent rigid bronchoscopy and prophylactic balloon tamponade Non massive Hemoptysis - CT chest